The mature cyst of Entamoeba histolytica differs from Entamoeba coli , in the following except ?
1. Size is 6 to 15 microns
2. Nuclei are 1 to 4 in number
3. Karyosome is central in position
4. Chromatid bars seen

Correct answer: 4. Chromatid bars seen

Explanation: Ans. is 'd' i.e., Chromatoid bars seen